Each of the following side effects can occur as a result of systemic absorption of lidocaine except one. Which one of this is exception :
1. Increased gastric motility
2. Tonic-clonic convulsions
3. Decreased cardiac output
4. Respiratory depression

Correct answer: 1. Increased gastric motility